HLA B27 is maximally associated with?
1. Rheumatoid arthritis
2. Ankylosing spondylitis
3. Rieter syndrome
4. Psoriasis

Correct answer: 2. Ankylosing spondylitis

Explanation: Clinical Associations with HLA B27DisorderHLA-B27 (%)Ankylosing spondylitis90Reactive arthritis (Reither's syndrome )40-80Juvenile SpA70Inflammatory bowel disease35-75Psoriatic arthritisWith spondylitisWith peripheral arthritis 5015Undifferentiated SpA70Acute anterior uveitis50Aortic insufficiency, heart block80